Anemia with punctuate basophilia is seen in chronic poisoning of:
1. Lead
2. Arsenic
3. Copper
4. Mercury

Correct answer: 1. Lead

Explanation: Ans. A i.e. Lead